Sustained neutropenia is seen with ?
1. Vinblastin
2. Cisplatin
3. Carmustine
4. None of the above

Correct answer: 3. Carmustine

Explanation: Carmustine Myelosuppression leading to neutropenia, thrombocytopenia and anemia is seen with most of the anticancer drugs. The characteristic feature of myclosuppression produced by carmustine is that it causes delayed myelosuppression that is prolonged too According to Goodman Gilman "It causes profound and delayed myelosuppression with recovery 4-6 weeks after a single dose. The myelosuppression leads to leukopenia and thrombocytopenia (may be prolonged)" More on Carmustine: Carmustine belongs to nitrosoureas class of anticancer drugs They have an important role in the treatment of brain tumours. It is highly lipophilic and thus it readily crosses the blood brain barrier. Other adverse effects of carmustine Delayed renal damage Reversible liver damage Leukemia Myocardial ischemia